Progestasert has to be replaced after :
1. 1 year
2. 5 years
3. 3 years
4. 6 months

Correct answer: 1. 1 year

Explanation: The US Food and Drug Administration (USFDA)-approved effective life is only 1 year. The contraceptive effectiveness of the progestasert is similar to that of Cu IUDs; it reduces menstrual loss but has to be replaced every year.